All are decreased in burns except
1. Immunity
2. Intravascular volume
3. Capillary permeability
4. All the above

Correct answer: 3. Capillary permeability

Explanation: Heat causes coagulation necrosis of skin and subcutaneous tissue | Release of vasoactive peptides | Altered capillary permeability (increased) | Loss of fluid - Severe hypovolaemia | Decreased cardiac - Decreased myocardial output function | Decreased renal blood - Oliguria flow (Renal failure) Altered pulmonary resistance causing pulmonary oedema | Infection | Systemic inflammatory response syndrome (SIRS) | Multiorgan dysfunction syndrome (MODS). There is increased capillary permeability, decreased plasma oncotic pressure causing loss of protein and fluid from intravascular space. Vasoconstriction occurs due to raised capillary hydrostatic pressure leading into cellular aggregation Ref: SRB 5th edition